Predominant type of immunoglobulin in human milk:
1. Ig A
2. Ig G
3. Ig M
4. Ig D

Correct answer: 1. Ig A

Explanation: In cow's milk the predominant type of immunoglobulin is Ig G, while in human milk it is Ig A. Ref: Nutrition and Child Development, K.E. Elizabeth, 4th edition pg: 22